Which Ig crosses through placenta:
1. IgA
2. IgE
3. IgG
4. IgM

Correct answer: 3. IgG

Explanation: Ans. C: IgG IgG is the only isotype that can pass through the human placenta, thereby providing protection to the fetus in utero. Along with IgA secreted in the breast milk, residual IgG absorbed through the placenta provides the neonate with humoral immunity before its own immune system develops. Colostrum contains a high percentage of IgG,